True about wilson's disease
1. Increase in urinary copper and increased serum ceruloplasmin and copper
2. Increased serum ceruloplasmin levels with increased urinary copper
3. Elevated hepatic copper level and increased serum ceruloplasmin levels
4. Increased in urinary copper and decreased serum ceruloplasmin

Correct answer: 4. Increased in urinary copper and decreased serum ceruloplasmin

Explanation: Wilson disease is an inborn error of metabolism due to toxic accumulation of copper in liver,brain,cornea and other tissues.Serum ceruloplasmin is decreased(<20 mg/dl) and the 24 hour urinary copper excretion is more than 100 micrograms/day.Hepatic copper values usually above 250 micrograms /gram of dry weight of liver. Reference:Essential pediatrics-Ghai,8th edition,page no:321